Sullivan index indicates:
1. Life free of disability
2. Hookworm eggs/ gm of stool
3. Standard of living
4. Pregnancy rate per HWY

Correct answer: 1. Life free of disability

Explanation: Ans. (a) Life free of disability* The simplest index of health which incorporates morbidity as well as mortality is Sullivan's Index of Disability-Free Life Expectancy (DFLE)ALSO REMEMBER* Chandler's Index: Hookworm eggs/gm of stool* Standard of living : Income and occupation, standards of housing, sanitation and nutrition, level of provision of health, educational, recreational and other services* Pregnancy rate per HWY: Pearl Index (Failure rate of Contraceptives)